which of the following is not a mechanical support of the uterus ?
1. uterosacral ligament
2. perineal body
3. pubocervical ligament
4. uterine axis

Correct answer: 2. perineal body

Explanation: Fibromuscular or mechanical supports of uterus- 1. Uterine axis 2. Pubocervical ligaments 3. Transverse cervical ligaments of Mackenrodt 4. Uterosacral ligaments 5. Round ligaments of uterus. Ref : B D Chaurasia's Human Anatomy , seventh edition , volume 2 , pg. no., 423.